Which is not a true support of uterus?
1. Infundibulopelvic ligament
2. Uterosacral ligament
3. Pubocervical ligament
4. Transverse cervical ligament

Correct answer: 1. Infundibulopelvic ligament

Explanation: Infundibulopelvic ligament REF: Gray's anatomy, 39th edition, page 13331 Indirect repeat from June 2011Supports of Uterus:The uterus is primarily supported by* Pelvic diaphragm Perineal body* Urogenital diaphragm* Secondarily, it is supported by ligaments and the peritoneum (broad ligament of uterus) Major ligamentsNameFromToUterosacral ligamentPosterior cervixAnterior face of sacrumCardinal ligaments (or Mackenrodt's ligament/ lateralcervical ligament/ transverse cervical ligament)Side of the cervixIschial spinesPubocervical ligamentSide of the cervixPubic symphysis NOTE: * Peritoneum forms the weakest support of the uterusThe suspensory ligament of the ovary, also infundibulopelvic ligament is a fold of peritoneum that extends out from the ovary to the wall of the pelvis. Some sources consider it a part of the broad ligament of uterus